Paradoxical breathing is seen in
1. Pneumonia
2. Pneumothorax
3. Atelectasis
4. Flial chest

Correct answer: 4. Flial chest

Explanation: Two of the symptoms of flail chest are chest pain and shortness of breath. It occurs when multiple adjacent ribs are broken in multiple places, separating a segment, so a part of the chest wall moves independently. This so-called "paradoxical breathing" is painful and increases the work involved in breathing Ref Davidson 23rd edition pg 579